A woman presents with amenorrhea of 2 months duration; lower abdominal pain, facial pallor fainting and shock. Diagnosis is:
1. Ruptured ovarian cyst
2. Ruptured ectopic pregnancy
3. Threatened abortion
4. Septic abortion

Correct answer: 2. Ruptured ectopic pregnancy

Explanation: The classic history of acute abdominal catastrophe with fainting attack & collapse, associated with features of intraabdominal haemorrhage in a woman of child bearing age points to a certain diagnosis of acute rupture ectopic. The women in question fulfills most criteria including the characteristic fainting attack. Ref: Ultrasound in Obstetrics and Gynecology, Volume 1 By Eberhard Merz, F. Bahlmann, 2004, Page 73 ; Management of Common Problems in Obstetrics and Gynecology edited by T. Murphy Goodwin, Martin N. Montoro, Laila Muderspach, Richard Paulson, Subir Roy, 2010, page 275. ; Textbook of Obstetrics By D.C.Dutta, 5th Edition, Page 198